While inserting a central venous catheter, a patient develops respiratory distress. Which of the following is the most likely cause?
1. Hemothorax
2. Hypovolemia
3. Pneumothorax
4. Pleural effusion

Correct answer: 3. Pneumothorax

Explanation: Since this patient in the question has developed respiratory distress while inserting a central venous catheter, the most likely cause is pneumothorax. Pneumothorax is the most frequently reported acute complication of subclavian vein catheterization. Complications of subclavian vein catheterization can be acute or chronic. Acute complications occur within 30 days of procedure, it includes: failure of placement of catheter, pneumothorax, hemothorax, hemopneumothorax, hemorrhage, misplacement of catheters, arterial injury, air embolism, injury to veins, cardiac chambers and neural structures. Ref: Venous Catheters: A Practical Manual By Philip C. Pieters, Page 250 ; Critical Care Study Guide: Text and Review By Gerard J. Criner, Pages 55-6